Which soft tissue sarcoma commonly gives to bone secondarya) Fibrosarcomab) Liposarcomac) Osteosarcomad) Neurofibromae) Synovial sarcoma
1. ab
2. ad
3. be
4. ce

Correct answer: 3. be

Explanation: Soft tissue sarcoma metastasing to bone are : -


Alveolar soft  part sarcoma                                                                        
Liposarcoma
Angiosarcoma
Rhabdomyosarcoma
Synovial cell sarcoma 


Osteosarcoma can metastasize to bone; However, it is a bone tumor (question has been specifically asked for soft tissue sarcoma).